A primigravida at 36 weeks of gestation reported with central placenta previa with heavy bleeding per vaginum. The fetal heart sound is normal. The best management is :-
1. Expectant management
2. Cesarean section
3. Induction & vaginal delivery
4. Steroids and wait 2 days prior to caesarean

Correct answer: 2. Cesarean section

Explanation: The best management in this case is Immediate C-section as patient is bleeding heavily. POG of 36 weeks indicates lungs maturity so no need to give steroids. Any delay in management would lead to haemmorhagic shock worsening maternal-fetal prognosis